Wolff's law is:-
1. Epiphyseal centre which appears first unites last with diaphysis
2. Epiphyseal centre which appears first unites first with diaphysis.
3. Osteogenesis is directly proportional to stress and strain.
4. None of above.

Correct answer: 3. Osteogenesis is directly proportional to stress and strain.

Explanation: 1) Wolff's law:- osteogenesis is directly proportional to stress and strain. 2) Law of union of epiphysis:- The epiphysis which appears first unites last with the diaphysis and vice versa. In fibula, the law is violated.